Chemotherapy for dysgerminoma is:
1. Cisplatin, etoposide, bleomycin
2. Cyclophosphamide, vincristine, prednisolone
3. Adriamycin, cyclophosphamide, cisplatin
4. Methotrexate, oncovin, procarbacine

Correct answer: 1. Cisplatin, etoposide, bleomycin

Explanation: Ans. A i.e. Cisplatin, etoposide, bleomycin